A 23 year old man comes to psychiatry outpatient due to symptoms of sleep disturbances and 'feeling low'. The symptoms started 2 months back after he found that his girlfriend was cheating on him and was in a relationship with her boss. The patient immediately broke up with her. However since than he has been feeling sad, and reports that nothing makes him feel better anymore. The patient has stopped going to office and doesn't even come out of his room unless its absolutely necessary. He has not slept for seven days and has lost a couple of kilograms in last two months. During interview he said, 'i am a loser, my girlfriend chose a 50 year old man over me, there must be something seriously wrong with me, '. What is the diagnosis?
1. Major depression
2. Adjustment disorder
3. Normal stress response
4. Post traumatic stress disorder

Correct answer: 1. Major depression

Explanation: This patient has symptoms of sadness of mood, loss of interest in work, sleep and appetite disturbances, negative thoughts and significant impairment in personal and professional life. Though, it was triggered by a breakup, symptoms are severe enough and hence, patient will get a diagnosis of major depression , and not adjustment disorder. If symptoms are sufficient enough, diagnosis of depression gets preference over adjustment disorder.